True about the Sickle cell disease are all, Except -
1. Single nucleotide change results in change of Glutamate to Valine
2. Sticky patch is generated as a result of replacement of a non polar residue with a polar residue
3. HbS confers resistance against malaria in heterozygotes
4. RFLP results from a single base change

Correct answer: 2. Sticky patch is generated as a result of replacement of a non polar residue with a polar residue

Explanation: Sticky patch in sickle cell disease results from replacement of a polar residue (Glutamate) with a nonpolar residue (Valine) at the 6th position of the beta chain.
Sickle cell anemia is caused by a point mutation, i.e. mutation of just one (single) nucleotide of DNA. The altered codon specifies a different amino acid (glutamic acid), and this causes a structural abnormality of the β-globin molecule.
Heterozygotes for the sickle cell mutation are more resistant to malarial infection because the erythrocytes of heterozygotes provides less favorable environment for plasmodium parasite.
RFLPs result from single-base changes (e.g. sickle cell disease) or from deletion or insertions of DNA into a restriction fragment (e.g. thalassemias).